Plasma ferritin levels may be reduced in all of the following conditions, except -
1. Iron deficiency
2. Vitamin C deficeincy
3. Liver disease
4. Hypothyroidism

Correct answer: 3. Liver disease